Nikoisky sign is seen in
1. Salmonells infection
2. Gram negative bacteremia
3. Meningococci infection
4. Staphylococci infection

Correct answer: 4. Staphylococci infection

Explanation: Nikolsky's sign : Development of an erosion on surrounding normal skin following shearing pressure . Epidermis will be detached like a sheet. It indicates acantholysis. Though this sign is characteristic for pemphigus group of disorders is not specific and can be elicited in burns and other skin disorders like toxic epidermal necrolysis,staphylococcal scalded skin syndrome Page no. 281,25 Reference IADVL's concise textbook of dermatology